Which of the following movements will be affected if the greater tubercle of the humerus is lost:
1. Abduction and lateral rotation
2. Adduction and flexion
3. Adduction and medial rotation
4. Flexion and medial rotation

Correct answer: 1. Abduction and lateral rotation

Explanation: A i.e. Abduction & lateral rotation The movement most commonly affected in greater tuberosity fracture is external rotation in abductionQ This is very obvious because the muscles inserted in greater tuberosity of humerus & their actions are as following.